Bone marrow depressive drugs in the treatment of AIDS patient are : a) Didanosine b) Zalcitabine c) Zidovudine d) Cotrimoxazole e) Ganciclovir
1. abc
2. ace
3. bce
4. cde

Correct answer: 4. cde